Which of the following is an intraabdominal Wolffian remnant in females?
1. Gartner duct cyst
2. Paoophoron
3. Bartholin cyst
4. Fimbrial cyst

Correct answer: 2. Paoophoron

Explanation: Intraabdominal Wolffian remnants in the female include a few blind tubules in the mesovarium--the epoophoron--as well as similar ones adjacent to the uterus--collectively the paroophoron. The epoophoron or paroophoron may develop into clinically identifiable cysts and are included in the differential diagnosis of an adnexal mass Mesonephric or Wolffian vestiges can persist as Gartner duct cysts. These are typically located in the proximal anterolateral vaginal wall but may be found at other sites along the vaginal lengthRef: Congenital Genitourinary Abnormalities